Not an organophosphate:
1. Diazinon
2. Endrin
3. Malathion
4. Parathion

Correct answer: 2. Endrin

Explanation: Ans. Endrin